The prototype of type-H hypersensitivity reaction is?
1. Arthus reaction
2. SLE
3. Autoimmune hemolytic anemia
4. Contact dermatitis

Correct answer: 3. Autoimmune hemolytic anemia

Explanation: Ans. is 'c' i.e., Autoimmune hemolytic anemia